The recommended room temperature for maintaining warmth for neonates is
1. 20 degree C
2. 34 degree C
3. 25 degree C
4. 30-34 degree C

Correct answer: 3. 25 degree C

Explanation: The recommended room temperature for maintaining warmth for neonates: 25 degree C.